A 33 year old man presents to AIIMS ophthalmology OPD with pain and watering of eyes. On examination there was a 3X2 mm greyish white corneal ulcer with indistinct elevated margins. The lesion is surrounded by feathery finger like infiltration into the adjacent corneal stroma. Minimal hypopyon is also observed. Based on the information provided the microbiological investigation should be directed against
1. Aspergillus spp.
2. Pseudomonas spp.
3. Herpes simpex virus
4. Acanthamoeba spp

Correct answer: 1. Aspergillus spp.

Explanation: Ans. (a) Aspergillus spp.Ref: Kanski 7/e, p. 180 - 181Feathery margins with hypopyon is indicative of a fungal ulcer and the most common cause for it is Aspergillus.